Which of the following substances is associated with flashback phenomenon?
1. Cannabis
2. LSD
3. Psilocybin
4. All of the above

Correct answer: 4. All of the above

Explanation: Cannabis and hallucinogens can cause Flash back phenomenon Flash back phenomenon: Re-experience of the sensations associated with use in the absence of the drug even months after the last dose